Death sentence cant be issued by
1. Supreme court Judge
2. High court Judge
3. Additional sessions Judge
4. Assistant sessions Judge

Correct answer: 4. Assistant sessions Judge

Explanation: Additional session Judge (sessions court Judge) can give death sentence, but that has to be confirmed by high court.
But, assitant sessions Judge can give maximum imprisonment of 10 Years only.